Ebstein anomaly is associated with all the following except
1. Patent foramen ovale
2. Massive heart on chest X-ray
3. VSD
4. Tall, broad P wave

Correct answer: 3. VSD

Explanation: Ebstein Anomaly - It is a rare cyanotic congenital heart disease with abnormality of tricuspid valve. The foramen ovale may be patent . C/f : cyanosis , effort intolerance , fatigue , paroxysmal attacks of tachycardia , clubbing , jugular venous pulse may show a dominant V wave but there is usually no venous engorgement. ECG - shows prominent P wave X Ray - It shows cardiac enlargement due to right atrial and right ventricular enlargement. The main pulmonary artery segment may be prominent and the aortic knuckle small. The pulmonary vasculature diminished . Ref : pg 424 ghai pediatrics eighth edition